Most common organism causing peritonitis -
1. E. coli
2. Klebsiella
3. Stap. aureus
4. Streptococcus

Correct answer: 1. E. coli

Explanation: Ans. is 'a' i.e., E.coli o Peritonitis can be of two typesPeritonitis||Primary (spontaneous)bacterial peritonitiso There is no apparentsource of infectionSecondary (Acute suppurative)bacterial peritonitiso When bacterias contaminate theperitoneum as result of spillatgefrom an intra abdominal viscus||Infection in secondary peritonitis is polymicrobialo Usually seen in adults in conjunction with cirrhosis of liver (frequently alcoholic) PBP virtually always cirrhosis develops in patients with ascitesAlso seen in young girls without ascites and alcoholico E.coli & Bacteriodes are most common organismso The species of organsms isolated vary with the source of the initial process and the normal flora present at the site|Microbiologyo Streptococcus pneumonia|Microbiologyo E.coli (most common organism)o Klebiella (2nd most common) Infection of PBP is monomicrobial and mostly aerobico Peritonitis associated with CAPDA third type of perinonitis is seen in patients undergoing continuous ambulatory peritoneal dialysis.Unlike primary and secondary peritonitis, which are caused by endogenous bacteria, peritonitis in CAPD patients is usually caused by skin organism.Like PBP the infection is usually monomicrobialMost common organisms are- Staphylococcus spp.